Used for averting smoking habit is -
1. Buspirone
2. Bupropion
3. Methadone
4. Venlafaxine

Correct answer: 2. Bupropion

Explanation: Antismoking drugs are :- Vareniciline, Bupropion, Amfebutamone, Clonidine, Rimonabant, Topiramate, Nortryptyline, Glucose, Mecamylamine.